All are true about Hypothyroidism except
1. Delayed dentition
2. Widened fontanelle
3. Distended abdomen
4. Short fontanelle

Correct answer: 4. Short fontanelle

Explanation: Congenital hypothyroidism is characterized by growth retardation, delayed skeletal maturation,dental development,myopathy,widened fontanelle,umbilical hernia ,large abdomen,large tongue,pallor,hypotonia. Reference: Ghai essential of pediatrics, eighth edition, p.no:517,table 17.6